During anaesthesia, which is least affected?
1. Visual evoked response
2. Brainstem evoked response
3. Somatosensory evoked response from median nerve
4. Somatosensory evoked response from posterior tibial nerve

Correct answer: 2. Brainstem evoked response

Explanation: An evoked potential or evoked response is an electrical potential recorded from the nervous system following stimulus. electromyography (EMG), or other electrophysiological recording methods. This is done under general anaesthesia so evoked potential least affected by anaesthetic agents are particularly monitored. Auditory evoked potential is least affected by general anaesthesia. Auditory evoked potentials (AEP) can be used to trace the signal generated by a sound through the ascending auditory pathway. The evoked potential is generated in the cochlea, goes through the cochlear nerve, through the cochlear nucleus, superior olivary complex, lateral lemniscus, to the inferior colliculus in the midbrain, on to the medial geniculate body, and finally to the cortex. Brainstem auditory evoked potentials are small AEPs that are recorded in response to an auditory stimulus from electrodes placed on the scalp. AEPs serve for assessment of the functioning of the auditory system and neuroplasticity. They can be used to diagnose learning disabilities in children, aiding in the development of tailored educational programs for those with hearing and or cognition problems.